Which muscle is relatively spared in facioscapulo humeral muscular dystrophy?
1. Deltoid
2. Biceps
3. Triceps
4. Orbicularis

Correct answer: 1. Deltoid

Explanation: * The disease involves slowly progressive weakness of muscles of face,shoulder girdle,scapular and foot dorsiflexion. Ref Harrison20th edition pg 2234